Deposition of Anti ds DNA Ab in kidney, skin, choroid plexus and joints is seen in:
1. SLE
2. Good pasture
3. Scleroderma
4. Raynauds disease

Correct answer: 1. SLE

Explanation: Answer is A (SLE): Antibodies against double stranded DNA (Anti, ds DNA) and Sm antigen (Anti Sm) are highly specific and virtual!;' diagnostic of SLE - Robbins